Iron is absorbed actively in the
1. Stomach
2. Duodenum
3. Terminal ileum
4. Proximal ileum

Correct answer: 2. Duodenum

Explanation: Most of the iron is absorbed in the upper part of the small intestine: - Duodenum and adjacent jejunum contain most of the iron suitable for absorption. Ref: guyton and hall textbook of medical physiology 12 edition